Fixation of anal phase of Psychosexual stage of development can lead to
1. Anxiety disorders
2. Depression
3. Obsessive compulsive disorder
4. Schizophrenia

Correct answer: 3. Obsessive compulsive disorder

Explanation: Anal phase (1.5-3 years) child derives pleasure by holding and releasing faeces.
Arrest or fixation of this stage can lead to obsessive compulsive disorder in future.